Which of the following is defective in renal glycosuria:
1. GLUT- 1
2. GLUT- 2
3. SGLT- 1
4. SGLT- 2

Correct answer: 4. SGLT- 2

Explanation: Renal Glycosuria (also called Familial Renal Glucosuria or Glycosuria ) Blood glucose is normal, But still Glucose appears in urine. It is due to defect/mutation in SGLT-2, which is major glucose transporter (90% glucose reabsorption) present in kidneys for the reabsorption and transport of Glucose (see fig below). Mutation in SGLT-1 (10% glucose reabsoption) leads to glucose-galactose malabsorption